Which of the following disorder is x-linked recessive ?
1. Gaucher disease
2. Neimann Kick disease
3. Tay Sachs disease
4. Fabry's disease

Correct answer: 4. Fabry's disease

Explanation: Fabry's disease is x-linked recessive. Red are autosomal recessive.